Drug used in glaucoma is:
1. Propranolol
2. Atenolol
3. Timolol
4. Pindolol

Correct answer: 3. Timolol

Explanation: C i.e.Timolol